Which of the following will cause an increase in the prevalence of the disease-
1. Immigration of healthy persons
2. Increased cure rate of the disease
3. Longer duration of disease
4. Emigration of diseased persons

Correct answer: 3. Longer duration of disease

Explanation: Ref:Parks 23rd edition pg 62 Change in prevalence from one time to another can result from changes in: Incidence Duration of disease Or both